Single most common finding in Aphasic Patients
1. Anomia
2. Apraxia
3. Alexia
4. Agraphia

Correct answer: 1. Anomia

Explanation: *A deficit of naming (anomia) is the single most common finding in aphasic patients. The persistent inability to find the correct word is known as anomia (literally, 'without names'). Anomia is actually a symptom of all forms of aphasia, but patients whose primary language problem is word retrieval are diagnosed as having anomic aphasia. Ref Harrison20th edition pg 2234